Intractable diarrhoea in children is caused by all except-
1. Cystic fibrosis
2. Giardiasis
3. Secreting tumors
4. Milk allergy

Correct answer: 2. Giardiasis

Explanation: Ans. is 'b' i.e., Giardiasis Intractable diarrhea o Intractable diarrhea is defined as, chronic or recurring diarrhea not obviously or early diagnosed as to etiology. o Chronic diarrhea is defined as diarrhea lasting > 4 weeks. Intractable diarrhea is caused by ? o Cystic fibrosis o Congenital enterokinase & Trypsinogen deficiencies o Bile duct atresia o Food protein sensitivity (Cow's milk protein intolerance) o Abetalipoproteinemia o Carbohydrate intolerance o Secretory diarrhoea o Diarrhoea due to exocrine pancreas deficiency Giardiasis causes infectious type of diarrhea which responses to antiprotozoal therapy.